N. meningitidis can be due to deficiency of this complement system:
1. C1-C4 deficiency
2. C5-C9 deficiency
3. C3 deficiency
4. C2 deficiency

Correct answer: 2. C5-C9 deficiency

Explanation: C5 - C9 - MAC (membrane attack complex) deficiency can lead to increased risk of meningococcal disease. C1, C2, and C4 deficiencies are associated with pyogenic infections and rheumatologic disorders, particularly systemic lupus erythematosus. C3 deficiency is also associated with pyogenic infections and rheumatologic disorders